Recurrent erythematous plaques on glans penis in a 19 yrs old sexually active male which heals with residual hyperpigmentation, is suggestive of?
1. Apthous Balanitica
2. Fixed Drug Eruption
3. Herpes Gestations
4. Chlamydial infective

Correct answer: 2. Fixed Drug Eruption

Explanation: B i.e. Fixed Drug Eruption Post inflammatory hyperpigmentation of male genital is caused by trauma, lichen planus, herpes simplex, fixed drug eruption & Bowenoid papulosisQ. Only FDE is available in option, as herpes (pemphigoid) gestationis is not HSV infection. Post inflammatory hypopigmentation of male genital is caused by post cryo (electro/chemo) therapy, lichen planus/ sclerosis, herpes simplex, contact (condom) dermatitis, systemic sclerosis, cicatricial pemphigoid, gonococcal dermatitis, pityriasis versicolr, peyronie disease, onchocercal leopard skin, leprosy, syphilis, pseudoepitheliomatous & micaceous keratotic balanitis. Bowenoid papulosis is characterized clinically by the presence of pigmented verrucous plaques & papules primarily on genitals, & histopathologically by the presence of squamous cell carcinoma in situ changes.